Drug that inhibits cell wall synthesis is ?
1. Tetracyclines
2. Penicillins
3. Aminoglycosides
4. Chloramphenicol

Correct answer: 2. Penicillins